Barr body is not seen in:
1. Klinefelter syndrome
2. Turner syndrome
3. Normal female
4. XXX syndrome

Correct answer: 2. Turner syndrome

Explanation: Barr body, or X chromatin Inactive X can be seen in the interphase nucleus as a darkly staining small mass in contact with the nuclear membrane known as the. Number of Barr bodies = number of X chromosome -1 , Turner syndrome patients, number of Barr body = 1-1=0.